Most common symptoms of pheochromocytoma except -
1. Headache
2. Palpitation
3. Abdominal pain
4. Hypotension

Correct answer: 4. Hypotension

Explanation: episodes of palpitation , headaches and abdominal pain , hypertension (Harrison 17 pg 2270)